Torture in which legs or thighs are tied with bamboo and the torturer presses on the two sides of the clamp to cause pain is called ?
1. Falanga
2. Telefono
3. Mercelago
4. Chepuwa

Correct answer: 4. Chepuwa

Explanation: Ans. is 'd' i.e., Chepuwa Physical torture Torture is defined as deliberate, systemic or wanton infliction of physical or mental suffering by one or more persons acting alone or on the orders of any authority, to force a person to yield information, to make a confession or for any other reason. Torture may be physical or psychological. Important methods of physical torture are :? 1. Beating : Beating may be of following types ? Falanga (Falolka/Baatinada) : Beating of soles of feet with blunt object. Telefono : Simultaneous beating of both ears with palms. Quirofana : Beating on abdomen while upper half of body lying unsupported on table. 2. Electric : Electric torture may be - Piacana : Placing electric wires in vagina, mouth, anus or over nipples and testis. Black slave : Heated metal skewer inserted into anus. 3. Near suffocation : These are - Dry submarine : Plastic bag covering head and face. Wet submarine (Labaneva/Latina/Pileta): Forced immersion of victim's head in water, often contaminated with urine or vomit or blood. 4. Suspension : Suspension may be - La-Bandera : By wrist. Mercelago : By ankles. 5. Forced posture : It may be ? Planton : Prolonged standing. Cabellete (Saw horse) : Forced struddling of a bar. Parrot's perch (Jack/paude Grava) : Head down by a horizontal pole placed under knees, with the wrists bound to the ankles. Chepuwa : Tight clamping of thighs or legs with bamboo, and the torturer may press two sides of clamps with his legs or may stand on two sides of clamps (practiced on Bhutanese refugees in Nepal).